Common bule duct injuries are most commonly seen in
1. Radical gastrectomy
2. Penetrating injuries of abdomen
3. ERCP & sphincterotomy
4. Laparoscopic cholecystectomy operation

Correct answer: 4. Laparoscopic cholecystectomy operation

Explanation: Bile duct injuries are most common in laparoscopic cholecystectomy(0.8 %),i.e.,around 3 times more than that of an open cholecystectomy.BDI can lead to bile leak,fistula formation,biliary strictures and lately biliary cirrhosis and portal hypertension. Reference:SRB's manual of surgery,5th edition,page no:666